Live vaccine is ?
1. Salk polio
2. KFD
3. Sabin polio
4. Meningococci

Correct answer: 3. Sabin polio

Explanation: There are 4 main types of vaccines: Live-attenuated vaccines Inactivated vaccines Subunit, recombinant, polysaccharide, and conjugate vaccines Toxoid vaccines Live-attenuated vaccines Live vaccines use a weakened (or attenuated) form of the germ that causes a disease.